Which one of the following is best associated with Lumefantrine ?
1. Antimycobacterial
2. Antifungal
3. Antimalarial
4. Antiamoebic

Correct answer: 3. Antimalarial

Explanation: Lumefantrine is a fluorene arylaminoalcohol derivative, it has marked blood schizonticidal activity against a wide range of plasmodia. So it is used as an antimalarial drug. It exerts its antimalarial effect by interacting with heme, a degradation product of hemoglobin metabolism. Ref: Malaria Control in Complex Emergencies: An Inter-agency Field Handbook By World Health Organization, Page 77; Harrison's Principles of Internal Medicine, 18th Edition, Chapter 26